20-year-old boy has admitted with history of fever, icterus, conjunctival suffusion and hematuria for 20 days. Which of the following serological test can be of diagnostic utility:
1. Widal test
2. Microscopic agglutination test
3. Paul-Bunnell-test
4. Weil-Felix reaction

Correct answer: 2. Microscopic agglutination test

Explanation: Ans. is. (b) Microscopic agglutination test